Which of the following is commonest material used to make orthopedic implant
1. Titanium
2. Stainless steel
3. Polyethylene (UHMWPE)
4. Methyl-methacrylate

Correct answer: 2. Stainless steel

Explanation: Most implants are made of stainless steel as it is comparatively cheap and can be easily cast into the desired shape. Titanium is expensive and difficult to fashion into the desired shape. Carbon and polyethylene implants are used only for some specific uses and methyl methacrylate is not made up into an implant as such.